Which one of the following insecticides is commonly used for ultra low volume fogging –
1. Abate
2. DDT
3. Paris green
4. Malathion

Correct answer: 4. Malathion